Longest acting Insulin among the following
1. Insulin Glargine
2. Insulin Detemir
3. Insulin Degludec
4. NPH

Correct answer: 3. Insulin Degludec

Explanation: insulin degludec which has duration of action upto 42hours Ref Harrison 20th edi page no 2863, tab 397-4